A 60 year man had undergone cardiac bypass surgery 2 days back. Now he started forgetting things and was not able to recall names and phone numbers of his relatives. What is the probable diagnosis?
1. Depression
2. Post traumatic psychosis
3. Cognitive dysfunction
4. Alzheimer's disease

Correct answer: 3. Cognitive dysfunction

Explanation: C i.e. Cognitive dysfunction Post cardiac surgery delirium (similar to ICU syndrome) is fairly common disorder typically occurring after 24-48 hours of surgeryQ in fearful patients. It presents as cognitive dysfunction affecting information processin intellect, concentration retention, visuo-spatial organization and memoryQ.